Molecular studies on an abdominal lymph node containing lymphoma demonstrate t (2;8)(p12; q24) translocation. This is most compatible with which of the following diseases?
1. Burkitt's lymphoma
2. Mantle cell lymphoma
3. Multiple myeloma
4. Small cell lymphoma

Correct answer: 1. Burkitt's lymphoma

Explanation: Burkitt's lymphoma is actually associated with three translocations. The common variant t(8; 14)(q24;q32), involving the oncogene myc on chromosome 8, and the heavy immunoglobulin chain on chromosome 14. The other two variants are: t(8;22)(q24;q11), involving myc and the lambda light chain immunoglobulin site, and t(2;8)(p12;q24), involving the kappa light chain and myc. Mantle cell lymphoma, multiple myeloma and small (not cleaved) cell lymphoma are associated with the t(11;14)(q13;q32) translocation involving bcl -1 and the heavy chain site.